Why does decreased glycolytic activity impair oxygen transport by hemoglobin?
1. Due to reduced energy production
2. Due to decreased production of 2,3-bisphosphoglycerate
3. Due to reduced synthesis of hemoglobin at low levels of oxygen
4. None of the above

Correct answer: 2. Due to decreased production of 2,3-bisphosphoglycerate

Explanation: 2,3-Bisphosphoglycerate (2,3-BPG) is the most abundant organic phosphate in the erythrocytes. It is produced in the erythrocytes from an intermediate (1,3-biphosphoglycerate) of glycolysis. This short pathway is called Rapaport-Leubering cycle. It normally binds to hemoglobin and decrease it's affinity to oxygen and thereby helps in oxygen delivery. When glycolytic activity is reduced, oxygen transport by hemoglobin is impaired due to decreased production of 2,3 BPG. In hypoxia and anemia 2,3-BPG in the erythrocytes is elevated. Ref: Essentials of Biochemistry, Satyanarayanan, Page 108